Fluent Aphasia with preserved comprehension and impaired repetition is
1. Broca's Aphasia
2. Wernicke's Aphasia
3. Anomic Aphasia
4. Conduction Aphasia

Correct answer: 4. Conduction Aphasia

Explanation: (D) Conduction COMPREHENSIONREPETITION OF SPOKEN LANGUAGENAMINGFLUENCY* Wernicke'sImpairedImpairedImpairedPreserved or Increased* Broca'sPreserved (except grammar)ImpairedImpairedDecreased* GlobalImpairedImpairedImpairedDecreased* ConductionPreservedImpairedImpairedPreserved* Non fluent (motor) transcorticalPreservedPreservedImpairedImpaired* Fluent (sensory) transcorticalImpairedPreservedImpairedPreserved* IsolationImpairedEcholaliaImpairedNo purposeful speech* AnomicPreservedPreservedImpairedPreserved except for word-finding pauses* Pure word deafnessImpaired only for spoken languageImpairedPreservedPreserved* Pure AlexiaImpaired only for readingPreservedPreservedPreserved# CONDUCTION APHASIA (Associative aphasia), is a relatively rare form of aphasia.> An acquired language disorder, it is characterized by intact auditory comprehension, fluent speech production, but poor speech repetition.> They are fully capable of understanding what they are hearing, but show significant difficulty repeating phrases, particularly as the phrases increase in length and complexity and as they stumble over words they are attempting to pronounce.> Typical lesion location for conduction aphasia is on the supramarginal gyrus of the parietal lobe, posterior to the primary seriscry cortex and just above Wernicke's area.> Classical explanation for conduction aphasia is that of a disconnection between the brain areas responsible for speech comprehension (Wernicke's area) and speech production (Broca's area), due specifically to damage to the arcuate fasciculus, a deep white matter tract.